In which of the following locations would you least except to find significant atherosclerotic lesions in a patient with risky factors of smoking, hypertension, diabetes mellitus, and serum cholesterol level of 280 mg/dl
1. Left main coronary artery
2. Aortic bifurcation
3. Circle of Willis
4. Pulmonary artery trunk

Correct answer: 4. Pulmonary artery trunk

Explanation: Large elastic arteries(eg. Aorta, carotid,and iliac arteries)and large and medium muscular arteries (coronary,renal,and popliteal arteries) are the vessels most commonly involved in atherosclerosis Robbins 9 th edition page no. 342